Which of the following is not a cause of death due to suffocation -
1. Choking
2. Gagging
3. Smothering
4. Throttling

Correct answer: 4. Throttling

Explanation: Various types of suffocation are smothering, gagging, chocking, burking, traumatic asphyxia, cafe coronary and overlying.
Throttling is strangulation (manual strangulation).